In which of the following steps of the TCA cycle does Substrate level phosphorylation occurs?
1. Succinate to fumarate
2. Isocitrate to alpha keto glutarate
3. Alpha keto glutarate to succinyl CoA
4. Succinyl CoA to Succinate

Correct answer: 4. Succinyl CoA to Succinate

Explanation: Succinyl-CoA is converted to succinate by the enzyme succinate thiokinase or also called as succinyl-CoA synthetase. GTP formation takes place in this step, and hence this is the one and only example of substrate level phosphorylation in the TCA cycle. The GTP so formed is used for the decarboxylation of oxaloacetate to phosphoenolpyruvate in gluconeogenesis. Here GTP is equivalent to ATP. Reference: 1. Harper's Illustrated Biochemistry 31st edition Pg 153